All are true regarding superantigens except?
1. Activate very large numbers of B cells
2. Bind outside the antibody binding groove
3. Are medium sized proteins
4. Cause release of cytokines

Correct answer: 1. Activate very large numbers of B cells

Explanation: Superantigens activate very large number of T cells. NON -MHC restricted They are medium sized proteins which Attach to TCR on lateral side on Vb (Variable) domain, outside the antibody binding groove. They cause release of cytokines that induce >20% of T lymphocytes activation resulting in massive proliferation of T lymphocytes. They have high resistance to proteases.